All of the following are true regarding epitheliod hemangioendothelioma except
1. Most common in males
2. Liver transplant is treatment of choice
3. Associated with vinyl chloride
4. Factor VIII staining is used for diagnosis

Correct answer: 1. Most common in males

Explanation: Hemangioendothelioma is most common in females Ref: Sabiston 20th edition Pgno :1459